Results of a test were given as very satisfied, satisfied, dissatisfied, it representes
1. Nominal scale
2. Ordinal scale
3. interval scale
4. Ratio scale

Correct answer: 2. Ordinal scale

Explanation: Scales can be: Qualitative: Categorical scales: Nominal : eg: names of countries . Dichotomous : eg: yes/no, presence/absence. Ordinal : severity of disease: mild/moderate/severe.eg: staging of cancer, kuppusamy socioeconomic class. Quantitative: Metric scales: Interval Ratio